A 42yr old female with HIV is frequently suffering from diarrhoea despite treatment with HAART. Which of the following organisms can cause diarrhoea in HIV patients?
1. Cryptosporidium
2. Microsporidia
3. Isospora
4. All the above

Correct answer: 4. All the above

Explanation: All the organisms can produce diarrhoea in HIV patients due to impaired t cell-mediated immunity Ref: D.R. Arora. Medical parasitology 4th ed pg. 239